Jumping gene is:
1. Transposon
2. Cosmid
3. Episome
4. Plasmid

Correct answer: 1. Transposon

Explanation: Ans. is 'a' i.e., Transposon(Ref: Ananthanarayan, 9th/e, p. 63 and 8th/e, p. 64)Transposons are also known as jumping genes.Transposons are also known as jumping genes. They move between chromosomal DNA and extra chromosomal DNA within cell. They take part in drug resistance mechanism.